Tumor marker related to both colon carcinoma and pancreatic carcinoma:
1. CA-125
2. CA-19-9
3. CD-15-3
4. All of the above

Correct answer: 2. CA-19-9

Explanation: Ans. B: CA-19-9CEA and CA-19-9 are associated with carcinoma of colon and pancreas. CD-15-3 is associated with breast carcinoma.